Commonest cause of non traumatic subarachnoid hemorrhage
1. Idiopathic
2. Berry aneurysm rupture
3. Hypertension
4. AV malformation

Correct answer: 2. Berry aneurysm rupture

Explanation: Ans. (b) Berry aneurysm ruptureRef: Bailey 26th 320 Schwartz 10th 1730* Most common cause of SAH - TRAUMA* Most common cause of non traumatic subarachnoid hemorrhage - BERRY ANEURYSM RUPTURE